The following are live attenuated vacciness, except ?
1. BCG
2. Oral typhoid
3. Measles
4. Pertussis

Correct answer: 4. Pertussis

Explanation: Ans. is 'd' i.e., Pertussis